All of the following SSRIs can affect the blood levels of other drugs Except
1. Sertraline
2. Fluoxetine
3. Fluvoxamine
4. Paroxetine

Correct answer: 1. Sertraline

Explanation: Fluoxetine and paroxetine are potent inhibitors of the CYP2D6 isoenzyme, and this contributes to potential drug interactions. In contrast, fluvoxamine is an inhibitor of CYP3A4, whereas citalopram, escitalopram, and sertraline have more modest CYP interactions Reference: Katzung Pharmacology 13th edition pg: 528